Gonioscopy is used to study
1. Ant. Chamber
2. Post chamber
3. Angle of anterior chamber
4. Retina

Correct answer: 3. Angle of anterior chamber

Explanation: C i.e. Angle of anterior chamber Gonioscopy is examination of angle of anterior chamber Q.